Inferior mesenteric artery supplies all of the following except
1. Rectum
2. Sigmoid colon
3. Splenic flexure
4. Right colic flexure

Correct answer: 4. Right colic flexure

Explanation: Inferior mesenteric artery, often abbreviated as IMA, supplies the large intestine from the left colic (or splenic) flexure to the upper part of the rectum, which includes the descending colon, the sigmoid colon, and part of the rectum.